True about vestibular schwannoma:M
U/l hearing loss is common presentation
Mostly malignant
Most common tumour of CP angle
Sensorineural deafness
Uncapsulated
1. ACD
2. BCA
3. DAB
4. DEC

Correct answer: 1. ACD

Explanation: VESTIBULAR SCHWANNOMA (ACOUSTIC NEUROMA) PL.
Dhingra 6th/112-14 It accounts for 80% of all cerebellopontine angle tumors & 10% of all the brain tumours It is a ben ignf encapsulated, an extremely slow-growing tumor of the Vlllth nerve.
Bilateral tumours are seen in patients with neurofibromatosis This tumor always arises from the Schwann cells of the vestibular,
but rarely from the cochlear division of Vlllth nerve within the internal auditory canal, As it expands,
it causes widening & erosion of canal & then appears in the cerebellopontine angle.
Here, it may grow anterosuperiorly to involve Vth nerve or inferiorly to involve IXth, Xth & XIth crania! nerves Age & Sex:
It is mostly seen in age group of40-60years Both sex are equally affected VESTIBULAR SCHWANNOMA  90% are unilateral
Commonest presenting symptoms are unilateral deafness or tinnitus or a combination of both The commonest nerve of origin is the superior vestibular,
followed by inferior vestibular & rarely the cochlear They are commoner in females than males in the ratio of 3:2 (c.f Dhingra, equal incidence) & usually present in the fourth
decade or above VESTIBULAR SCHWANNOMA (ACOUSTIC NEUROMA) CMDT 2015/212-13 Eighth cranial nerve schwannomas are among the most common
intracranial tumors. Most are unilateral, but about 5% are associated with the hereditary syndrome, neurofibromatosis type 2, in which bilateral eighth nerve tumors
may be accompanied by meningiomas and other intracranial and spinal tumors. These benign lesions arise within the internal auditory canal and gradually grow
to involve the cerebellopontine angle, eventually compressing the pons and resulting in hydrocephalus. Their typical auditory symptoms are a unilateral hearing loss
with a deterioration of speech discrimination exceeding that predicted by the degree of pure tone loss. Nonclassic presentations, such as sudden unilateral hearing loss,
are fairly common. Any individual with a unilateral or asymmetric sensorineural hearing loss should be evaluated for an intracranial mass lesion.
Vestibular dysfunction more often takes the form of continuous dysequilibrium than episodic vertigo. Diagnosis is made by enhanced MRI.
Treatment consists of observation, microsurgical excision, or stereotactic radiotherapy, depending on such factors as patient age, underlying health,
and size of the tumor at presentation.